Rejection of True Null Hypothesis is known as:-
1. Type II error
2. Type I error
3. Both
4. None

Correct answer: 2. Type I error

Explanation: Ho true, Rejected - Type I error Ho false , Accepted - Type II error Ho true , accepted - No Error Ho false , rejected - No Error.